Which of the following drugs should not be used with rivastigmine in patients with alzheimer's disease -
1. SSRI
2. Tricyclic antidepressant
3. RIMA
4. Atypical antidepressants

Correct answer: 2. Tricyclic antidepressant

Explanation: Ans. is 'b' i.e., Tricyclic antidepressant Rivastigmine (cholinesterase inhibitor) should not be used with drugs that have cholinergic antagonistic activity like tricyclic antidepressants (TCA) as the combination is counter productive.